Which of the following acts as a neurotransmitter inhibitor:
1. Glutamate
2. GABA
3. Aspartic acid
4. Lysin

Correct answer: 2. GABA